Acylovir triphosphate inhibits the synthesis of DNA by competing with
1. 4-Oxyadenosine monophosphate
2. 2-Oxyadenosine diphosphate
3. 2-deoxyguanosine triphosphate
4. 4-deoxyguanosine triphosphate

Correct answer: 3. 2-deoxyguanosine triphosphate